Which one of the following is the most common tumour to produce metastasis to cervical lymph nodes ?
1. Glottic carcinoma
2. Nasopharyngeal carcinoma
3. Carcinoma base of tongue
4. Carcinoma lip

Correct answer: 2. Nasopharyngeal carcinoma

Explanation: HO's triangle in supraclavicular fossa (bounded by medial and lateral ends of clavicle and point where neck meets the shoulder)is the site where metastatic nodes commonly exist in nasopharyngeal carcinoma.In 50% of cases nodal involvement is bilateral. Often cervical lymphadenopathy may be the first presentation) SRB,5th,395.